3 day old neonatal is brought by the mother to pediatrician, with complaints of yellowish discoloration of body. On testing bilirubin level is found to be 20mg/dL. What is the next step of management
1. Stop breast feeding
2. Stop breast feeding and start phototherapy
3. Continue breastfeeding and start phototherapy
4. Initiate exchange transfusion

Correct answer: 3. Continue breastfeeding and start phototherapy

Explanation: Age 
Cut - off for phototherapy


24-48 hours
15mg/dl


48-72 hours
18mg/dl


> 72 hours
20mg/dl